Meralgia parasthetica is due to compression of
1. Femoral Nerve
2. Intermediate cutaneous Nerve of thigh
3. Medial cutaneous Nerve of thigh
4. Lateral cutaneous Nerve of thigh

Correct answer: 4. Lateral cutaneous Nerve of thigh

Explanation: Meralgia parasthetica is due to compression of Lateral cutaneous Nerve of thigh below inguinal ligament. It is a condition where pain and numbness is seen in Outer thigh.